Commonest site of meningocele is:-
1. Lumbosacral
2. Occipital
3. Frontal
4. Thoracic

Correct answer: 1. Lumbosacral

Explanation: A fluctuant midline mass , that may transilluminate occurs along the vertebral column , in the LOWER BACK. Most common site is Lumbo Sacral region . Most meningoceles are well covered with skin & pose no threat to the patient .